Leiden mutation is?
1. Non sense mutation
2. Mis-sense mutation
3. Frame shift mutation
4. Tri nucleotide repeat mutation

Correct answer: 2. Mis-sense mutation

Explanation: Ans. is 'b' i.e., Mis-sense mutation o Factor V Leiden (FVL1 mutation is a mis-sense type of point mutation in the gene for clotting factor V. As a missense substitution of base G to base A, it changes the protein's amino acid from arginine to glutamineo It has autosomal dominant inheritance and is the most common cause of inherited thrombophiliao Factor V is one of the essential clotting factors in the coagulation cascadeo FVL mutation causes activated protein C resistance, hence leading to the hvpercoagulable state.o It is associated with increased risk of DVT & recurrent miscarriages